Which is NOT true regarding Type 1 muscle fibre?
1. High glycolytic capacity
2. High capillary density
3. High number of mitochondria
4. High myoglobin content

Correct answer: 1. High glycolytic capacity

Explanation: (A) High glycolytic capacity CLASSIFICATION OF FIBER TYPES IN SKELETAL MUSCLESFeaturesType IType IIOther namesSlow; oxidative; redFast; glycolytic; whiteMyosin isoenzymeATPase rateSlowFastCa2+-pumping capacity of sarcoplasmic reticulumModerateHighDiameterSmallLargeGlycolytic capacityModerateHighOxidative capacity (correlates with content of mitochondria, capillary density, myoglobin content)HighLow